Which of the following substance abuse is commonly associated with morbid jelousy?
1. Opium
2. Cannabis
3. Alcohol
4. Cocaine

Correct answer: 3. Alcohol

Explanation: Morbid Jealousy most often result from alcohol abuse. Cocaine abuse results in tactile hallucination, coronary artery vascocnstriction and myocardial infarction. Reference: Textbook of Medicine By Robert L Souhami, page 251